Dosage of albendazole in ascariasis is :
1. 400 mg once
2. 400 mg bd for one day
3. 400 mg tds for one day
4. 400 mg bd for 5 days

Correct answer: 1. 400 mg once